Piezoelectric handpiece
1. Is ultrasonic instrument
2. Linear motion
3. More efficient than magnetostrictive handpiece
4. v All of the above

Correct answer: 4. v All of the above